Which of the following being is the most frequent site of thrombus?
1. Veins of lower extremities
2. Portal vein
3. Pulmonary vein
4. Hepatic vein

Correct answer: 1. Veins of lower extremities